Keratin contains -
1. Arginine
2. Histidine
3. Lysine
4. All

Correct answer: 4. All

Explanation: Ans. is 'd' i.e., All